Intermediate syndrome with loss of muscle power is associated with poisoning due to ?
1. Barbiturates
2. Carbon monoxide
3. Cyanide
4. Organophosphorous compounds

Correct answer: 4. Organophosphorous compounds

Explanation: Intermediate syndrome with muscle weakness is characteristic of organophosphates poisoning.